Feature indicative of anti-mortem drowning is -
1. Cutis anserina
2. Rigor mortis
3. Washerwomans feet
4. Grass and weeds grasped in the hand

Correct answer: 4. Grass and weeds grasped in the hand

Explanation: Among the given options, only option d is diagnostic for antemortem drowning.